Which of the following is determined by measuring sciatic notch index in a skeleton?
1. Determination of age
2. Identification of sex
3. Determination of race
4. Cause of death

Correct answer: 2. Identification of sex

Explanation: Sciatic notch index is a trait used for differentiating sex by measuring sciatic notch. Formula is, Sciatic notch index = (width of sciatic notch/depth of sciatic notch) * 100 It is normally 4-5 in males and 5-6 in females Ref: Essentials of Forensic Medicine and Toxicology by Narayan Reddy, 27th edition, Page 56.